Not true about carcinoma Nasopharynx
1. Epstein barr virus
2. Nickel if found to be associated
3. Bimodel age distribution
4. Samter's Triad

Correct answer: 4. Samter's Triad